Cytokeratin 8 and 18 and ubiquitin present in all except?
1. Alcoholic hepatitis
2. Non alcoholic steatohepatitis
3. Primary biliary cirrhosis
4. Acute viral hepatitis

Correct answer: 4. Acute viral hepatitis

Explanation: Option D - Cytokeratin 8,18 and ubiquitin presence is found in MALLORY-DENK BODIES. MALLORY-DENK BODIES. -Eosinophilic inclusion bodies seen in Hepatocyte swelling. -Tangled skeins of intermediate filaments -Commonly seen in Alcoholic hepatitis Non-alcoholic steatohepatitis Metabolic disorders like Wilson's diseaseChronic cholestatic disease HCC Primary biliary cirrhosis